One of the following is an apoptosis inhibitor gene-
1. p53
2. Bc1-2
3. Rb
4. c-Myc

Correct answer: 2. Bc1-2

Explanation: Ans. is 'b' i.e., BCI-2